Hormone replacement therapy (H) is indicated in:
1. women with breast cancer
2. Osteoporosis
3. women with uterine cancer
4. previous history of thromboembolic episode

Correct answer: 2. Osteoporosis

Explanation: H Indications symptomatic women who suffer from oestrogen defeciency(therapeutic) high risk cases for menopausal complications like cardiovascular disease,osteoporosis,stroke,alzheimers disease,colonic cancer(prophylactic) premature menopause,spontaneous or following surgery(tubectomy,hysterectomy) gonadal dysgenesis in adolescents(therapeutic0 women demanding H as prophylaxis. SHAW'S TEXTBOOK OF GYNAECOLOGY,Pg no:70,16 th edition